Abbey-Estlander Flap is used in the reconstruction of
1. Buccal mucosa
2. Lip
3. Tongue
4. Palate

Correct answer: 2. Lip

Explanation: Ans. is 'b' i.e. Lip